Which of the following is the drug of choice for Syndrome of Inappropriate Secretion ofAntidiuretic Hormone (SIADH)?
1. Demeclocycline
2. Vasopressin
3. Thiazide diuretic
4. Chlorpropamide

Correct answer: 1. Demeclocycline

Explanation: Ans. is 'a' i.e., Demeclocycline No pharmacologic agent exists that is able to antagonize ADH specifically. Specific ADH antagonists are avail able only for investigational purpose Currently, Demeclocycline and lithium are the only pharmacological t/t effective for SIADH. These are nonspecific ADH antagonists which are of limited use in some situations These two agents antagonize the action of ADH in collecting tubules by inhibiting the formation of CAMP.